Advantage of minimum mercury technique or Eames technique is all except
1. High strength
2. Sets quickly
3. Needs no squeezing of excess mercury
4. Greater plasticity and adapts well to cavity walls

Correct answer: 4. Greater plasticity and adapts well to cavity walls